Which of the following is investigation of choice for Zenker's diverticulum?
1. CECT
2. Endoscopy
3. Esophageal manometry
4. Barium swallow

Correct answer: 4. Barium swallow

Explanation: When suspected, the diagnosis is established by a barium swallow.. Endoscopy is usually difficult in the presence of a cricopharyngeus diverticulum and potentially dangerous, owing to the obstruction of the true esophageal lumen by the diverticulum and the associated risk of diverticular perforation. Ref: Schwartz 9/e, Page 848.